Furosemide acts by inhibiting -
1. Na+-K+-2Cl- pump
2. Na+-Cl- pump
3. Carbonic anhydrase
4. Epithelial Na+ channels

Correct answer: 1. Na+-K+-2Cl- pump

Explanation: Ans. is 'a' i.e., Na+-K+-2C1- pump o The major site of action is thick ascending limb of loop of Henle where they inhibit Na+K+2Cl'.o Has been explained in previous sessions